Commonly involved muscle of face in Myositis ossificans:
1. Buccinator.
2. Masseter.
3. Lateral pterygoid.
4. Temporalis.

Correct answer: 2. Masseter.